True statement regarding non-coagulase staphylococci is
1. They are non-pathogenic
2. They commonly infect indwelling prosthesis
3. They may cause scarlet fever
4. They are separated by gram staining

Correct answer: 2. They commonly infect indwelling prosthesis

Explanation: Coagulase-negative staphylococci are a major component of the normal flora of the human body. Species: Staphylococcus epidermidis, staphylococcus hemolyticus, Staphylococcus saprophyticus. Staphylococcus epidermidis is invariably present on the normal human skin. It is non-pathogenic ordinarily but can cause disease when the host defenses are breached. It is a common cause of stitch abscess. It has a predilection for growth on implanted foreign bodies such as artificial heart valves, shunts, intravascular catheters and prosthetic appliances, leading to bacteremia. Hospital strains are multi-drug resistant. It can cause cystitis and central line-associated BSI. Biofilm formation is an important factor in the pathogenesis. It is an extracellular polysaccharide matrix which protects bacteria from antibacterial agents and helping colonisation and resistance to infection. Reference: Textbook of Microbiology; Anathanarayan and panicker's; 10th edition; Page no: 208